Most specific of psychosis
1. Neologism
2. Incoherence
3. Pressure of speech
4. Perseveration

Correct answer: 1. Neologism

Explanation: A i.e. Neologism